Nerve supply of rhomboids major -
1. Spinal accessory nerve, cranial part
2. Spinal accessory nerve, spinal part
3. Dorsal scapular nerve
4. Thoracodorsal nerve

Correct answer: 3. Dorsal scapular nerve

Explanation: Ans. is'c' i.e.,Dorsalscapular nerveRhomboids major and minor are supplied by dorsal scapular nerve.